Example of mixed tumours is:
1. Adenoacanthoma.
2. Hamartoma.
3. Glomus Tumour.
4. Osteoma.

Correct answer: 1. Adenoacanthoma.

Explanation: Mixed tumours: When two types of tumours are combined in the same tumour, it is called a mixed tumour. For example:

Adenosquamous carcinoma is the combination of adenocarcinoma and squamous cell carcinoma in the endometrium.
Adenoacanthoma is the mixture of adenocarcinoma and benign squamous elements in the endometrium.
Carcinosarcoma is the rare combination of malignant tumour of the epithelium (carcinoma) and of mesenchymal tissue (sarcoma) such as in thyroid.
Collision tumour is the term used for morphologically two different cancers in the same organ which do not mix with each other.